UJJAWALA scheme is associated with:
1. Rescue and rehabilitation of victims trafficked for commercial sexual exploitation
2. Providing counselling for pregnant mother
3. Preventing child marriage
4. Providing support for widows

Correct answer: 1. Rescue and rehabilitation of victims trafficked for commercial sexual exploitation

Explanation: UJJAWALA is a scheme launched by ministry of woman and child development to combat human trafficking for commercial sexual exploitation. It also has provisions to provide support to cross border victims for their safe repatriation to the country of origin. Ref: Park, Edition 21, Page 542